The type of stress to which dental amalgam is most resistant:
1. Shear's stress
2. Tensile stress
3. Compressive stress
4. Impact stress

Correct answer: 3. Compressive stress